The function common to neutrophils, monocyte and macrophages is:
1. Immune response
2. Phagocytosis
3. Liberation of histamine
4. Destruction of old erythrocytes

Correct answer: 2. Phagocytosis

Explanation: Ans. is 'b' i.e., Phagocytosis (Ref: Ananthanarayan, 9th/e, p. 137and 8th/e, p. 131 - 132)* Monocytes and Macrophages originate from bone marrow and their main functions are phagocytosis and Ag presentation.